The fall in blood pressure caused by d–tubocurarine is due to :
1. Reduced venous return
2. Ganglionic blockade
3. Histamine release
4. All of the above

Correct answer: 4. All of the above